The vitamin which can be treated for the treatment of hypercholesterolemia is
1. Thiamine
2. Niacin
3. Pyridoxine
4. Vitamin b12

Correct answer: 2. Niacin

Explanation: Refer kDT 7/e 640 Treatments for purehypercholesterolemia often depend upon how severe the cholesterol levels and symptoms are. Almost all people with the condition will need to take a prescription medication to reduce overall cholesterol levels. The most common medications are called "statins." Niacin is effective in the treatment of combined hyperlipidemia (elevated cholesterol and TG) and in the management of low HDL levels as a primary or (more often) an adjunctive agent after an adequate attempt at lifestyle modifications has been undertaken.